All of the following are part of Glasgow Coma Scale except
1. Eye opening
2. Deep tendon reflexes
3. Verbal response
4. Motor response

Correct answer: 2. Deep tendon reflexes

Explanation: (B) Deep tendon reflexes# Glasgow Coma Scale (GCS): The maximum score is 15, & the minimum is 3.> Eye Opening : Spontaneous-4 To speech-3 To pain-2 No response-1> Best Motor Response : To Verbal Command: obeys-6 To Painful Stimulus: localizes pain-5 flexion-withdrawal-4 flexion-abnormal-3 extension-2 no response-1> Best Verbal Response : oriented and converses-5 disoriented and converses-4 inappropriate words-3 incomprehensible sounds-2 no response-1 E + M + V-3 to 15 90 & less than or equal to 8 are in coma. Greater than or equal to 9 not in coma. 8 is the critical score. Less than or equal to 8 at 6 hours - 50 & die. 9-11 = moderate severity. Greater than or equal to 12 = minor injury.> Coma is defined as: Not opening eyes Not obeying commands Not uttering understandable words